5 minutes before recovery from anesthesia, nitrous oxide is removed and 100% oxygen is administered to the patient to prevent -
1. Diffusion Hypoxia
2. Second gas effect
3. Hyperoxia
4. Bronchospasm

Correct answer: 1. Diffusion Hypoxia

Explanation: Ans. is' a' i.e., Diffusion hypoxia Diffusion hypoxiao In initial part of induction, diffusion gradient from alveoli to blood is high and larger quantity of anaesthetic is entering blood. If the inhaled Concentration of anaesthetic is high (eg N2O), Substantial loss of alveolar gas volume will occur and it creates negative intra-alveolar pressure that leads to removal of more gas from cylinder to alveoli - Concentration effect.o During recovery reverse occurs - N2O having low blood solubility, rapidly diffuses into alveoli and dilutes the alveolar air - partial pressure of oxygen in alveoli is reduced.o The resulting hypoxia is known as diffusion hypoxia (Fink effect).o Diffusion hypoxia occurs in first 5-10 minutes of recovery.o Diffusion hypoxia can be prevented by continuing 100% O2 inhalation for a few minutes after discontinuing N2O, instead of straight away switching over to air. Besides N2O, Xenon also causes diffusion hypoxia.